A 32-year-old male patient is to undergo radiation therapy to the pelvic area for Hodgkin’s lymphoma. He expresses concern to the nurse about the effect of chemotherapy on his sexual function. The best response by the nurse to the patient’s concerns is
1. “Radiation does not cause the problems with sexual functioning that occur with chemotherapy or surgical procedures used to treat cancer.”
2. “It is possible you may have some changes in your sexual function, and you may want to consider pretreatment harvesting of sperm if you want children.”
3. “The radiation will make you sterile, but your ability to have sexual intercourse will not be changed by the treatment.”
4. “You may have some temporary impotence during the course of the radiation, but normal sexual function will return.”

Correct answer: 2. “It is possible you may have some changes in your sexual function, and you may want to consider pretreatment harvesting of sperm if you want children.”

Explanation: The impact on sperm count and erectile function depends on the patient’s pretreatment status and on the amount of exposure to radiation. 
The patient should consider sperm donation before radiation. 
Radiation (like chemotherapy or surgery) may affect both sexual function and fertility either temporarily or permanently.